Protein synthesis occurs in
1. Ribosome
2. Golgi apparatus
3. Lysosomes
4. Endosomes

Correct answer: 1. Ribosome

Explanation: Synthesis of proteins are based on the grnic information present on the DNA which is transcribef into the mRNA nucleotide sequence and then translated to the amino acid sequence of the polypeptide chain. The mRNA encodes the information,tge tRNA transposthe aminoacids and ribosomes provide the platform for the protein synthesizing machinery .Transfer RNA and ribosomal RBA are transcribed from specific genes on DNA by RNA polymerases Reference:FM.VASUDEVAN Textbook SEVENTH EDITION ,Page no: 597